True about the following virus: A. Enveloped, Club or petal shaped projections, Positive ss RNA- Largest genome of RNA virus. B. Diseases caused by these viruses are SARS, MERS. C. Reservoir is horseshoe bats for SARS, likely spread from palm-civets cats contact with humans. D. Symptoms of MERS appear within a day following contact with an infected patient. E. SARS is more severe than MERS. F. MERS infection is more servere in individuals who have a preexisting illness like diabetes and heart diseases.
1. Only A, B, D, E, F are True
2. Only A, B, C, D are True
3. A, B, C, F are True
4. All are True

Correct answer: 3. A, B, C, F are True

Explanation: The given image is of Corona virus. It is an Enveloped virus with Club or petal shaped projections, Positive ss RNA virus. The Wuhan coronavirus or the 2019-nCoV is a positive-sense, single-stranded RNA coronavirus first reported in late 2019 and linked in the 2019-2020 pneumonia outbreak in Wuhan City in central China. 100-160 nm in size. Disease caused by these viruses are: SARS (severe acute respiratory syndrome) MERS (Middle East respiratory syndrome ) COVID19. Reservoir for SARS is HORSESHOE bats, likely spread from palm-civets cats contact with humans. MERS has a median Incubation Period of 5 days, symptoms appear between 2-14 days. MERS is more severe in individuals who have a preexisting illness like diabetes and heart diseases.